Most common complication after ERCP is :
1. Acute pancreatitis
2. Acute cholangitis
3. Acute cholecystitis
4. Duodenal perforation

Correct answer: 1. Acute pancreatitis

Explanation: Ans. is 'a' ie. acute pancreatitis [Ref Harrison 17/kpl838 (16/e pl732); internet- httv://www.wisnet.com/l007- 9327/1l/5209.asvlThe following study - Complications of endoscopic retrograde cholangiography in the post-MRCP era: A tertiary center experience published in the journal- World Journal of Gastroenterology writes:"Overall, the complication rate of ERCP was 9.8%The complications were pancreatitis (5.4%), bleeding (0.8%), cholangitis (2.4%) and others (1.5%)."Endoscopic retrograde cholangio-pancreatography (ERCP) is the most complex endoscopic procedure. It is the preferred treatment for the majority of Pancreatico-biliary diseases. Since its introduction in 1968, ERCP has evolved from a purely diagnostic to a therapeutic procedure because noninvasive imaging techniques such as magnetic resonance cholangio-pancreatography (MRCP) is increasingly being used for the diagnosis of conditions, otherwise previously diagnosed only by ERCP.Most common indication for ERCP is choledocholithiasis followed by cholangitis, dilated CBD, cholestatic jaundice, gallstone pancreatitis...